Which of the following drugs is useful against Pseudomonas?
1. Piperacillin-Tazobactam
2. Streptomycin
3. Cephalexin
4. Cefoxime

Correct answer: 1. Piperacillin-Tazobactam